Which of the following antibodies is most frequently seen in Antiphospholipid Syndrome? -
1. Anti- beta 2 glycoprotein antibody
2. Beta 2 microglobulin antibody
3. Anti-nuclear antibody
4. Anti-centromere antibody

Correct answer: 1. Anti- beta 2 glycoprotein antibody

Explanation: Antiphospholipid antibody syndrome has clinical manifestations including recurrent thrombosis,  repeated miscarriages,  cardiac valve vegetations and thrombocytopenia. Suspected Ab target include Beta 2 Glycoprotein 1, a plasma protein that associates with the surfaces of endothelial cells and trophoblasts.
Anti nuclear antibody and beta 2microglobulin Ab  seen in SLE.